Treatment of retinoblastoma is by
1. 5FU + Cisplatin + Vinblastine
2. Carboplatin + Etoposide + Vincristine
3. Cyclophosphamide + Etoposide + Vincristine
4. Cyclophosphamide + Doxorubicin + Etoposide

Correct answer: 2. Carboplatin + Etoposide + Vincristine

Explanation: Ans. (b) Carboplatin + Etoposide + VincristineRef: Ryan's retina 6/e, p. 2392; Kanski 8/e, p. 502; Parson's 22/e, p. 381Chemotherapy agents commonly used for treatment of retinoblastoma are Age <= 36 monthsAge > 36 monthsVincristine0.05 mg/kg1.5 mg/m2Etoposide5 mg/kg150 mg/ m2Carboplatin18.6 mg/kg560 to 600 mg/m2